T-cell mature in:
1. Peyer's patches
2. Lymph node
3. Thymus
4. Bursa of fabricius

Correct answer: 3. Thymus

Explanation: Ans: c (Thymus)Ref: Ananthanarayan Micro, 7th ed, p. 123 & 6th ed, p. 117, 115; Fig. 15.4